For PCR which of the following is not required -
1. Taq polymerase
2. d-NTP
3. Primer
4. Radiolabelled DNA probe

Correct answer: 4. Radiolabelled DNA probe

Explanation: Following are required in PCR :- Target double stranded DNA, two specific primers, a thermostable DNA polymerase (Taq polymerase), deoxyribonucleotides (dNTP).